Investigation of choice for studying Renal Cortical mass
1. 99 Tc DTPA
2. 53 Cr Study
3. 99 Tc DMSA
4. 99 Tc Pyrophosphate

Correct answer: 3. 99 Tc DMSA

Explanation: C i.e. 99 - Tc - DMSA DTPA (Renogram) DMSA (Isotope Scanning) - DTPA is freely filtered at glomerulus with no - Tc.99 DMSA is used for renal morphological tubular reabsorption or excretion (i.e. GFR = (anatomic) imagine Excretory function) - This compound gets fixed in renal tubules & images - DTPA is useful for evaluating perfusion and may be obtained after 1-2 hours of injection. Lesions excretory function of each kidneyQ such as tumors & benign lesions as cysts show filling - Indications: defectQ 1. Measurement of relative renal - Used to assess cortical function of KidneyQ and detect functionQ in each kidney. renal scarringQ. 2. Urinary tract obstructionQ 3. Diagnosis of Renovascular cause of hypertensionQ 4. Investigation of Renal transplantQ